The tooth most commonly involved in chronic focal sclerosing osteomyelitis is
1. Maxillary second molar
2. Maxillary third molar
3. Maxillary first molar
4. Mandibular first molar

Correct answer: 4. Mandibular first molar